A 9 year old boy is admitted with acute abdominal pain localized in the right iliac fossa. He is pyrexial with localized peritonism in RIF. The causative cell involved here
1. Lymphocytes
2. Neutrophil
3. Macrophages
4. Monocytes

Correct answer: 2. Neutrophil

Explanation: Ans. (b) Neutrophil(Ref: Robbins 9th/pg 71; 8th/pg 44)This is a case of acute appendicitisThe principal inflammatory cell in this case of acute appendicitis is the neutrophil.